A child is suffering from dry skin and is mentally retarded-diagnosis -
1. Vit A deficiency
2. Crebral palsy
3. Hypothyroidism
4. All above

Correct answer: 3. Hypothyroidism

Explanation: Ans. is 'c' i.e., Hypothyroidism.o Vit A deficiency causes oculor symptom.The different eye signs of vitamin A deficiency (VAD) in children, as graded by the WHO, are:# Night blindness (XN)# Conjunctival xerosis (XIA)# Bitot's spots (X1B)# Corneal xerosis (X2)# Corneal ulcer covering less than 1/3 of the cornea (X3A)# Corneal ulcer covering at least 1/3 of the cornea, defined as keratomalacia (X3B)# Corneal scarring (XS) & skin dryness-X-erodermao Cerebral palsy causes mental retardetion but No skin dryness.o Hypothyroidism causes mental reterdetion along with skin dryness and other features.Clinical feature of hypothyroidismCongenitalAcquired1) Open posterior fontanelle2) Umbilical hernia3) Edematous faces4) Constipation5) Pallor6) Hypothermia7) Large tongue8) Rough skin9) Hypotonia10) Large abdomen1) Growth retardation2) Delayed dentition3) Delayed puberty4) Myopathy5) Pseudotumor cerebri